55 year old male presents with hyperpigmentation, nail atrophy and reversible hair loss. Patient also have hamartomatous colon polyps. Diagnosis is ?
1. Turcot syndrome
2. Peutz-Jeghers syndrome
3. Bannayan-Ruvalcaba-Riley syndrome
4. Cronkhite-Canada syndrome

Correct answer: 4. Cronkhite-Canada syndrome

Explanation: Patient is suffering from Cronkhite Canada syndrome Mn: C - Cronkhite Canada syndromeA- Acquired, skin & appendages of skin- Hyperpigmentation- Reversible Hair loss- OnychodystrophyD - Diarrhea (Massive)- Cause of death GI Lesions: Hamartomatous colon polyps, Crypt dilatation and edema in nonpolypoid mucosa